Hypoechoic lesion within prostate in USG seen in – a) Adenocarcinomab) Normal prostate tissuec) Infertilityd) Urethral obstructione) BPH
1. a
2. b
3. ab
4. ae

Correct answer: 4. ae

Explanation: Most of the prostatic carcinomas (adenocarcinomas) are lzypoechoic, but may be hyperechoic or isoechoic.
Echogenicity of BPH varies, it may be diffusely homogeneous and hypoechoic or hyperechoic, but some degree of inhomogeniety is noted in most cases.